Propranolol a non selective Beta blocker can be prescribed to decrease anxiety associated with
1. Chronic neurotic disorder
2. Schizophrenia
3. Short term stressful situation
4. Endogenous depression

Correct answer: 3. Short term stressful situation

Explanation: Ref-KDT 6/e p143 Propranolol is used for controlling the performance anxiety, major manifestation of which are due to increase the sympathetic activity (tachycardia, palpilpalpit etc)